Normal Respiratory quotient-
1. 0.5
2. 0.8
3. 1
4. 1.5

Correct answer: 2. 0.8

Explanation: Ans. is 'b' i.e., 0.8 Respiratory quotient* For working out the energy balance, it is important to estimate the energy expenditure of the body under various conditions. A convenient way of estimating is respiratory quotient (RQ). RQ is the ratio of the amount of CO2 released to the amount of O2 consumed. 200 ml of CO2 is removed from tissues per minute and 250 ml of O2 is delivered to the tissues per minute, the normal RQ can be calculated to be 0.8 (= 200/250).RQ =CO2 removed--------O2 consumed* RQ of Carbohydrate is 1.00, for fat is 0.70 and for proteins it is about 0.82.